The most potent anti-leprotic drug is?
1. Rifampicin
2. Dapsone
3. Clofazimine
4. Sulfasalazine

Correct answer: 1. Rifampicin

Explanation: Rifampicin is bactericidal for M. leprae in very low dosage and acts much more rapidly than Dapsone, rendering the patient non-contagious in a few days or weeks. It acts by inhibiting DNA dependent RNA polymerase.